Dumping syndrome is characterized by all of the following except:
1. Colic
2. Tremors and giddiness
3. Hyperglycemia
4. Epigastric fullness

Correct answer: 3. Hyperglycemia

Explanation: Answer- C. HyperglycemiaDumping syndrome is a relatively rare disorder in which the stomach contents are delivered too quickly to the small intestine.It occurs as a physiological reaction to the consumption of too much simple or refined sugar in some persons, when simple sugar exits the stomach too rapidly it attracts fluid into the upper intestine, and the blood volume decreases as it attempts to absorb the sugar.The vasomotor symptoms comprise general weakness, pallor, sweating, palpitation and light headedness.symptoms of gastrointestinal disturbance such as epigastric discomfort, nausea, vomiting and possibly an episode of diarrhea is observed.The biochemical changes that occur in dumping syndrome are hyperinsulinaemia followed by hypoglycaemia